Zona pellucida is seen in -
1. Oocyte
2. Primary spermatocyte
3. Secondary spermatocyte
4. Sertoli cell

Correct answer: 1. Oocyte

Explanation: Ans. is 'a' i.e., Oocyte * The zona pellucida (plural zonae pellucidae, also egg coat or pellucid zone) is a glycoprotein layer surrounding the plasma membrane of mammalian oocytes.* It is a vital constitutive part of the oocyte. The zona pellucida first appears in unilaminar primary oocytes. It is secreted by both the oocyte and the follicular cells.* The zona pellucida is surrounded by the cumulus oophorus. The cumulus is composed of cells that care for the egg when it is emitted from the ovary* This structure binds spermatozoa, and is required to initiate the acrosome reaction. In the mouse (the best characterised mammalian system), the zona glycoprotein, ZP3, is responsible for sperm binding, adhering to proteins on the sperm plasma membrane (GalT). ZP3 is then involved in the induction of the acrosome reaction, whereby a spermatozoon releases the contents of the acrosomal vesicle.